The hemoglobin to appear first in the fetus is –
1. Hb A
2. Hb A2
3. Hb F
4. Hb Gowers

Correct answer: 4. Hb Gowers